All are true about Romiplostim except
1. It is recombinant erythropoietin
2. It has a protein component in its structure
3. Its half life is variable
4. It is given subcutaneously

Correct answer: 1. It is recombinant erythropoietin

Explanation: Romiplostim is a recombinant thromboplastin which is used in Immune Thrombocytopenic Purpura.